A patient of prinzmetal's angina is started on isosorbide mononitrate. What is the mechanism of action of nitrates in this condition?
1. Reduced cardiac contractility
2. Increased left ventricular end diastolic volume
3. Decreased diastolic perfusion pressure
4. Endothelium independent coronary vasodilation

Correct answer: 4. Endothelium independent coronary vasodilation

Explanation: Prinzmetal's angina is due to spasm of main coronary artery. Treatment is by dilatation of coronary artery. Endothelium normally generates NO, but here we are giving nitrates for generation of NO. Mechanism of action of nitrates: Preload reduction >> Afterload reduction Redistribution of coronary flow in the arterial tree action may cause favorable redistribution of blood flow to ischaemic areas in angina patients.